Hemorrhagic cystitis is caused by:
1. Cyclophosphamide
2. 6 Mercaptopurine
3. 5 Fuorouracil
4. Busulfan

Correct answer: 1. Cyclophosphamide

Explanation: Cyclophosphamide It is inactive as such: produces few acute effects and is not locally damaging. Transformation into active metabolites (aldophosphamide, phosphoramidemustard) occurs in the liver, and a wide range of anti tumour actions is exerted. It has prominent immunosuppressant property. Thus, it is one of the most popular anticancer drugs. It is less damaging to platelets, but alopecia and cystitis (due to another metabolite acrolein) are prominent. Chloramphenicol retards the metabolism of cyclophosphamide ESSENTIALS OF MEDICAL PHARMACOLOGY K.D.TRIPATHI SIXTH EDITION PAGE NO:822